Hypopigmented lesions are seen in –
1. Melasma
2. Pityriasis alba
3. Lichen planus pigmentosus
4. Urticaria pigmentosa

Correct answer: 2. Pityriasis alba